Sternocleidomastoid muscle is supplied by:
1. Vagus nerve
2. Spinal accessory nerve
3. Marginal mandibular branch of facial nerve
4. None of the above

Correct answer: 2. Spinal accessory nerve

Explanation: The spinal accessory nerve provides the motor supply. It passes through the muscle.
The spinal accessory nerve supplies:

The sternocleidomastoid, the chin turning
The trapezius, the shrugging muscle.

Cervical nerves provide a proprioceptive sensations to these muscles.
Reference: B D Chaurasia’s Head and Neck anatomy, 6th ed page no 384